Which of the following does not affect the Hardy Weinberg principle?
1. Small population
2. Random mating
3. Mutations
4. Gene outflow

Correct answer: 2. Random mating

Explanation: Ans. is 'b' i.e., Random mating Hardy-Weinbergt ,aw of genetic equilibrium The ilardyAN einberg law plays an important role in the field ofpopulation genetics and often serves as a basis for genetic inference. o Hardy-Weinberg equation refers to a state in which the allele and the genotype frequencies do not change from one generation to the next in a population. Five conditions are required in order for a population to remain at Hardy-Weinberg equilibrium: 1.A large breeding population 2. Random mating 3. No change in allelic frequency due to mutation 4. No immigration or emigration 5.No natural selection So, random mating maintains equilibrium (does not disturb or affect). Non-random mating inluence it.